The most 'frequent tooth to be impacted:
1. Lower third molar
2. Upper third molar
3. Lower canine
4. Upper premolar

Correct answer: 1. Lower third molar

Explanation: Ans. Lower third molar